True about bacteria -
1. Mitochondria always absent
2. Sterols always present in cell wall
3. Divide by binary fission
4. a& c

Correct answer: 4. a& c

Explanation: Ans. is 'a' i.e., Mitochondria always absent; 'c' Divide by binary fission . Bacteria are prokaryotes and do not have mitochondria, nuclear membrane, nucleolus, lysosomes, golgi apparatus, and endoplasmic reticulum. . Sterols are absent in cell wall, except for mycoplasma. . Bacteria divide by binary fission . They can be seen under light microscope, phase contrast microscope, Dark field/ Dark ground microscope and electron microscope.